Mechanism of action of sildenafil is:
1. 5 alpha reductase inhibitor
2. Antiandrogen
3. Phosphodiesterase-5 inhibitor
4. Androgenic

Correct answer: 3. Phosphodiesterase-5 inhibitor

Explanation: Ans: C i.e. Phosphodiesterase-5 inhibitor Drugs and mechanism of action Finsateride is a competitive inhibitor of the enzyme 5 alpha reductase (which converts testosterone into more active dihydrotestosterone) Flutamide is a non-steroidal drug having specific anti-androgenic, but no other hormonal activity Sildenafil acts by selectively inhibiting PDE-5 and enhancing nitric oxide action in corpus cavernosum Danazol is an orally active ethisterone derivative having weak androgenic, anabolic and progestational activities.